A ring chromosome is a result of-
1. Inversion
2. Duplication
3. Translocation
4. Deletion

Correct answer: 4. Deletion

Explanation: Ring chromosome
 A ring chromosome is a special form of deletion. It is produced when a break occurs at both ends of a chromosome with a fusion of the damaged ends. If the significant genetic material is lost, phenotypic abnormalities result.
This might be expressed as 46, XY,r (14).
Ring chromosomes do not behave normally in meiosis or mitosis and usually result in serious consequences.